Herniation of meninges through cranial defect is known as
1. Acrania
2. Anencephaly
3. Cephalocele
4. Encephalocele

Correct answer: 3. Cephalocele

Explanation: Anencephaly is characterized by the absence of the cranium and telencephalic structures, with the skull base and orbits covered only by angiomatous stroma. Acrania is the absence of the cranium, with protrusion of disorganized brain tissue.Cephalocele is the herniation of meninges through a cranial defect, typically located in the midline occipital region. When brain tissue herniates through the skull defect, the anomaly is termed an encephalocele(Ref: William's Obstetrics; 25th edition)